All of the following can trigger sensors of cell damage in the cytoplasm, except:
1. Adenosine triphosphate
2. Deoxyribonucleic acid
3. Increased intracellular potassium ion concentration
4. Uric acid

Correct answer: 3. Increased intracellular potassium ion concentration

Explanation: Sensors of cell damage are cytosolic receptors that recognize a diverse set of molecules that are liberated or altered as a consequence of cell damage. Uric acid (a product of DNA breakdown), ATP (released from damaged mitochondria), Reduced intracellular K+ concentrations (reflecting loss of ions because of plasma membrane injury) DNA when it is released into the cytoplasm and not sequestered in nuclei, as it should be normally.